Neurotropism is shown by  a) C. neoformans  b) Polio virus  c) Coxsackie virus  d) C.albicans
1. abc
2. bcd
3. abd
4. acd

Correct answer: 1. abc